Culture media used for Leishmania is
1. NNN media
2. Philip's media
3. Craig's media
4. Napier's media

Correct answer: 1. NNN media

Explanation: NNN - McNeal, Novy and Nicolle media.